Globi is seen in ................. leprosy ?
1. Tuberculoid
2. Lepromatous
3. Border line
4. Borderline tuberculoid

Correct answer: 2. Lepromatous

Explanation: Ans. is 'b' i.e., Lepromatous